Sabin Feldman test is used in:
1. Syphilis
2. Leptospirosis
3. Toxoplasmosis
4. Multiple myeloma

Correct answer: 3. Toxoplasmosis

Explanation: Toxoplasmosis